G couple protein receptor is
1. Metabotropic receptor
2. Ionic receptor
3. Kinase-linked receptor
4. Nuclear receptor

Correct answer: 1. Metabotropic receptor

Explanation: Ref-katzung 11/e p359 Metabotropic receptor are G-protein receptors